Iliofemoral ligament arise from -
1. Ischial tuberosity
2. Anterior superior iliac spine
3. Iliopubic rami
4. Anterior inferior iliac spine

Correct answer: 4. Anterior inferior iliac spine

Explanation: Iliofemoral ligament
Origin - Anterior inferior iliac spine- lower half
Insertion - Intertrochanteric line
Function - Prevents hyperextension of hip joint while standing.
Feature - Strongest ligament of the body